Which one of the following statement is true regarding pathogenicity of Mycobacteria species?
1. M. tuberculosis is more pathogenic than M. bovis to humans
2. M. kansasii can cause disease indistinguishable from tuberculosis
3. M. africanum infection is acquired from environmental source
4. M. marinum is responsible for tubercular lymphadenopathy

Correct answer: 2. M. kansasii can cause disease indistinguishable from tuberculosis

Explanation: Ans. is 'b' i.e., M. kansasii can cause disease indistinguishable from tuberculosis.Other choices:(a) M. tuberculosis and M. bovis are equally pathogenic.(b) M. africanum infection is acquired from human and cattles.(d) M. marinum causes swimming pool granuloma.